Erythropoietin is mainly produced in:
1. Liver
2. Kidney
3. Intestine
4. Bone

Correct answer: 2. Kidney

Explanation: Erythropoietin is produced in the kidney in response to hypoxia and anemia. It binds to erythropoietin receptors on red cell progenitors and stimulates red cell production. From medical pharmacology padmaja 4th edition Page no 332